From the index finger infection goes to ?
1. Thenar space
2. Hypoihenar space
3. Mid palmar space
4. Space of parona

Correct answer: 1. Thenar space

Explanation: Ans is A ie Thenar space